CTEV is caused by all except -
1. Neurological disorder
2. Idiopathic
3. Spina fibida
4. Cubitus varus

Correct answer: 4. Cubitus varus

Explanation: Causes of CTEV

CTEV may be either primary or secondary

1) Primary or Idiopathic

It is the most common type of CTEV
Foot deformity (CTEV) is the only manifestation, otherwise, musculoskeletal system is normal.

2) Secondary

CTEV is a local manifestation of a systemic syndrome.
Causes are:-


Neurological disorders & neural tube defects eg myelomeningocele, & spinal dysraphism
Paralytic disorder (due to muscular imbalance) as polio, spina bifida, myelodysplasia, & Friedreich's ataxia
Arthrogryposis multiplex
Larsen syndrome
Freeman- Sheldon syndrome
Diastrophic dwarfism
Sacral agenesis, tibial deficiency, constriction rings & amniotic bands